All of the following are features of acute severe asthma EXCEPT -
1. Respiratory rate > 25
2. Heart rate > 110
3. PEF < 50% of normal or predicted
4. Temperature > 102°F

Correct answer: 4. Temperature > 102°F